The conversion of glutamate to glutamine is catalysed by a
1. Lyase
2. Ligase
3. Transferase
4. Oxidoreductase

Correct answer: 2. Ligase

Explanation: Glutamine is a nutritionally non-essential amino acid It is synthesised from glutamate Free ammonia is ligated to glutamate (that is why ligase) with the use of energy provided by ATP hydrolysis. The enzyme is glutamine synthetase (Synthetase requires ATP while synthase does not require ATP).